A 16 years old girl failed in her final examination. Disgusted with life , she cut across the front of wrist at the flexor retinaculum . She was rushed to hospital and the surgeon noticed that the cut was superficial. All the following structures would have been damaged by this cut EXCEPT?
1. Ulnar nerve
2. Median nerve
3. Palmar cutaneous branch of median nerve
4. Superficial branch of radial artery

Correct answer: 2. Median nerve

Explanation: Median nerve lies deep to the flexor retinaculum and is not damaged by cuts which are superficial. Structures crossing superficial to flexor retinaculum are:From medial to lateral:Superficial branch of ulnar nerve and ulnar arteryTendon of palmaris longusPalmar cutaneous branch of median nerveOrigin of the thenar musclesStructures passing deep to flexor retinaculum are:Median nerveTendons of flexor digitorum superficialisTendon of flexor digitorum profundusTendon of flexor pollicis longusUlnar bursa and radial bursa